True statement regarding  Windkessel effect is
1. It is seen in muscular arteries and arterioles
2. These vessels have lot of smooth muscles
3. It is seen in aorta and large arteries
4. These vessels are major site of resistance to blood flow

Correct answer: 3. It is seen in aorta and large arteries

Explanation: Aorta and large arteries are called Windkessel vessels. 
Windkessel effect => These vessels show elastic recoil when stretched.